Which of the following is the most approprate therapy for an individual who has ingested an overdose of aspirin -
1. Acetazolamide
2. Sodium Bicarbonate
3. Flumazani
4. Allopurinol

Correct answer: 2. Sodium Bicarbonate

Explanation: Aspirin poisoning can be treated with intravenous sodium bicarbonate (8.4%) Reference: Harrison20th edition pg 775